Tooth with periapical pathology with rarefaction radiologically is diagnosed as
1. Condensing osteitis
2. Acute periapical periodontitis
3. Acute periapical abscess
4. Periapical granuloma

Correct answer: 4. Periapical granuloma